Which of the following variables is measure on ordinal scale -
1. Type of anemia
2. Severity of anemia
3. Hemoglobin
4. Serum ferritin

Correct answer: 2. Severity of anemia

Explanation: Ans. is 'b' i.e., severity of anemia When data is ranked e.g. mild, moderate, severe --) ordinal scale is used. Therefore severity of anemia is measured on ordinal scale. Type of anemia can be divided into qualitative categories (Macrocytic/microcytic, hemolytic/non-hemolytic) --> Nominal scale is used. Serum ferritin and hemoglobin are quantiative variables with a possible absolute zero value Ratio scale is used.